Mutation seen in Hartnup's disease:
1. SLC6A 18
2. SLC6A 19
3. SLC6A 17
4. SLC6A 16

Correct answer: 2. SLC6A 19

Explanation: b. SLC6A 19(Ref: Nelson 20/e p 3160)Hartnup's disease is due to mutation of SLC6A 19 gene encoding the neutral amino acid transporter, resulting in deficiency of nicotinamide synthesis